An important non-respiratory function of Lungs is:
1. Anion balance
2. Sodium balance
3. Potassium balance
4. Calcium balance

Correct answer: 2. Sodium balance

Explanation: Lung has large amounts of angiotensin converting enzyme which is located on the surface of endothelial cells of the pulmonary capillary. This enzyme converts the inactive decapeptide angiotensin I into aldosterone stimulating octapeptide angiotensin II. This angiotensin II stimulates the production of aldosterone which increase sodium resoption, thereby maintaining sodium balance. Ref: Pulmonary Physiology, Lange Physiology Seires, 6th Edition, Pages 215-226.